Shotgun does not contain :
1. Barrel
2. Choke bore
3. Bullets
4. Muzzle

Correct answer: 3. Bullets

Explanation: Bullets are used in Rifled Gun. SHOT GUN also known as SMOOTH Barrel GUN :- Choking :-to decrease dispersion and increase the range. Lead shot/ pellets used in shot gun.